Most cardiotoxic anti-cancer drug among the following;
1. Anthracyclines
2. Cyclophosphamide
3. Imatinib
4. Tamoxifen

Correct answer: 1. Anthracyclines

Explanation: Anthracyclines (daunorubicin, doxorubicin, epirubicin and idarubicin) can cause severe cardiotoxicity manifesting as dilated cardiomyopathy and arrhythmias. Anthracycline chemotherapeutic agents form free radicals in the myocardium. Their most severe side effect is a cumulative dose related dilated cardiomyopathy. It presents with symptoms of left and right ventricular CHF. Anthracyclines mediated cardiotoxicity, is prevented by dexrazoxane. Anthracycline (doxorubicin) also cause -Radiation recall syndrome Cyclophosphamide is alkylating agent used for anticancer purpose. Imatinib - is tyrosine kinase inhibitor - it is used as first line drug for chronic phase CML, in blast crisis Tamoxifen - it is SERM - DOC for ER positive breast cancer.